Which salmonella is anaerogenic :
1. S. typhi
2. S.paratyphi A
3. S. paratyphi B
4. All of the above

Correct answer: 1. S. typhi

Explanation: Salmonella typhi is anaerogenic. Option 1 All Salmonellae produce acid and gas (aerogenic) when they ferment sugars except S. typhi which only produces acid (anaerogenic). Option 2, 3, 4 Salmonellae : Ferment glucose, mannitol, and maltose,forming acid and gas. S. Typhi is an exception, which does not ferment the sugars. Produces H2S except S. paratyphi A, S. choleraesuis. Do not hydrolyze urea. MR positive ,VP negative ,citrate positive. Catalase positive ,oxidase negative.